Umblicated pearly white asymptomatic skin lesion diagnosis is –
1. HSV
2. Molluscum contagiosum
3. EBV
4. None

Correct answer: 2. Molluscum contagiosum

Explanation: Pearly white umblicated papule is seen in Molluscum contagiosum.